Patient with a history of fall presents weeks later with headache and progressive neurological deterioration. The diagnosis is:-
1. Acute subdural hemorrhage
2. Extradural hemorrhage
3. Chronic subdural hemorrhage
4. Fracture skull

Correct answer: 3. Chronic subdural hemorrhage

Explanation: Chronic Subdural Hematoma Chronic SDH: collection of blood breakdown products that is at least 3 weeks old Chronic SDHs often occur in patients without a clear history of head trauma, as they may arise from minor trauma . A chronic SDH >1 cm or any symptomatic SDH should be surgical drained .